Fluent Aphasia with preserved comprehension and impaired repetition is:
1. Broca's
2. Wernicke's
3. Anomie
4. Conduction

Correct answer: 4. Conduction

Explanation: Answer is D (conduction): Conduction Aphasia is a 'Fluent' Aphasia with preserved comprehension and impaired Repetition. Clinical Syndrome Non-Fluent Aphasias Fluent Aphas'as Features Transcortical Motor Wernicke's Transcortical Sensory Fluent No No No No Yes Yes Yes Yes Comprehension No No Yes Yes Yes Yes No No Repeat No Yes Yes No Yes No No Yes